Which of the following enzyme exhibits absolute specificity for substrate?
1. Lactate dehydrogenase
2. L-amino acid oxidase
3. Urease
4. Hexokinase

Correct answer: 3. Urease

Explanation: Classes of enzyme specificity: 1. Absolute: enzyme reacts with only one substrate e.g. Urease. 2. Group: enzyme catalyses reaction involving any molecules with the same functional group e.g. Phosphotransferase. 3. Linkage: enzyme catalyses the formation or break up of only certain category or type of bond e.g. Peptidase. 4. Stereochemical: enzyme recognizes only one of two enantiomers e.g. L-amino acid oxidase. Other options: Lactate dehydrogenase: Have succinate semialdehyde, pyruvate etc as a substrate. Hexokinase: can phosphorylate Glucose and fructose. L-amino acid oxidase: Can oxidize various L amino acids to oxo acids.